All of the following are true regarding cephalosporins except :
1. Bactericidal agents
2. Active against only gram negative bacteria
3. IIIrd Generation are resistant to B-lactamases from gram negative bacteria
4. ceftriaxone is administered parenterally

Correct answer: 2. Active against only gram negative bacteria